How would a drug that competes with acetylcholine for receptors at the motor end plate effect of skeletal muscle. it would be?
1. Produce uncontrolled muscles spasm
2. Cause of muscle to contract and unable to relax
3. Cause muscle to relax and be unable to contract
4. Make the muscle more excitable

Correct answer: 3. Cause muscle to relax and be unable to contract

Explanation: Refer kDT 6/e p 340 Drugs competing with acetylcholine at neuromuscular Junction are competitive or non depolarizing neuromuscular blockers. These drugs are used as muscle relaxants. In contrast to depolarising muscle relaxant, these do not cause initial fasciculations